Which of the following is the most predominant constituent of sulfur granules of Actinomycosis is -
1. Organisms
2. Neutrophils and monocytes
3. Monocytes and lymphocytes
4. Eosinophils

Correct answer: 1. Organisms